H. P. Inclusion bodies in Trachoma are seen in
1. Extracellular
2. Intracytoplasmic
3. Intranuclear
4. None

Correct answer: 2. Intracytoplasmic

Explanation: Halbersteidter Prowasek bodies are intracytoplasmic inclusion bodies Refer: Khurana 6th edition page number 65